Bile salts act as-
1. Emulsifying agent
2. Detergent
3. Surface tension lowering agents
4. All of the above

Correct answer: 4. All of the above

Explanation: Ans. is'd' i.e., All of the aboveBile saltso Bite salts are the most important constituents of the bile.o They are sodium and potassium salts of bile acids, conjugated to amino acids, glycine or taurine,o The important bile acids are cholic acid and chenodeoxycholic acid.o Bile acids are derived from cholesterol.o Bile salts help in digestion and absorption of fat by emulsification and micelles formation,o Bile salts act as detergents, i.e., they have surface tension lowering action.o Detergent action is dne to amphipathic nature of bile salts (Note : Amphipathic molecules are molecules that contain both hydrophobic non-polar as well as hydrophilic-polar ends).